Purulent exudation from the gingival sulci is an indication of:
1. Deep pockets
2. Severe periodontal attachment loss
3. Nature of the inflammatory changes in the pocket wall
4. Shallow pockets

Correct answer: 3. Nature of the inflammatory changes in the pocket wall